Adenoma sebaceum is a feature of –
1. Neurofibromatosis
2. Tuberous sclerosis
3. Xanthomatosis
4. Incontinenetia pigmenti

Correct answer: 2. Tuberous sclerosis

Explanation: Adenoma sebaceum is the most common manifestation of tuberous sclerosis.
Ash leaf macules are the earliest manifestation, being present at birth.